Culex tritaenorrhyncus transmits
1. Dengue fever
2. Yellow fever
3. KFD
4. Japanese encephalitis

Correct answer: 4. Japanese encephalitis

Explanation: Ans. is 'd' i.e., Japanese encephalitis Dengue transmitted by - Aedes*Yellow fever transmitted by - Aedes*KFD transmitted by - Hard tick*